Murphy's eye is seen in
1. Macintosh laryngoscope
2. Endotracheal tube
3. LMA
4. Flexible laryngoscope

Correct answer: 2. Endotracheal tube

Explanation: * The "Murphy eye" is the eponymous name for a hole on the side of most endotracheal tubes (ETTs) that functions as a vent, and prevents the complete obstruction of the patient's airway, should the primary distal opening of an ETT become occluded. REF : WILLEY 10TH ED